Drug that is used for fetal lung maturity is
1. Dexamethasone
2. Folic acid
3. eclomethasone
4. one

Correct answer: 1. Dexamethasone

Explanation: * Betamethasone and dexamethasone are corticosteroids, also called glucocorticoids, that are given before birth (antenatally) to speed up a preterm fetuses lung development. * Either is used when a mother is in preterm labor and birth may occur in 24 to 48 hours REF : DUTTA BOOK OF OBESTETRICS